Pulmonary fibrosis is the most common complication after treatment with
1. 6- mercaptopurine
2. Vincristine
3. Bleomycine
4. Adriamycine

Correct answer: 3. Bleomycine

Explanation: Ans. is 'c' i.e., bleomycin This question has been repeated numerous times before so its well-known that Bleomycin causes Pulmonary fibrosisThe other important fact about Bleomycin is its mechanism of action.* It causes DNA chain scission and inhibits repair by intercalating between DNA strands*Other drugs causing pulmonary fibrosis areacyclovir*amiodarone*busulphan*cyclophosphamide*melphalan*methotrexate*methysergide*